Which of the following is a cause for conjugated hyperbilirubinemia?
1. Massive hematoma
2. Gilbert's syndrome
3. Crigler Najir syndrome
4. Rotor's syndrome

Correct answer: 4. Rotor's syndrome

Explanation: Rotor's syndrome is a congenital illness which causes conjugated hyperbilirubinemia. Dubin's Jhonson syndrome is also a similar condition. Conjugated hyperbilirubinemia results from reduced secretion of conjugated bilirubin into the bile, such as occurs in patients with hepatitis, or it results from impaired flow of bile into the intestine, such as occurs in patients with biliary obstruction. Bile formation is sensitive to various hepatic insults, including high levels of inflammatory cytokines, such as may occur in patients with septic shock.